A diagnosis of chronic hepatitis is made if liver disease is present for a minimum of:
1. 3 weeks
2. 6 weeks
3. 6 months
4. 3 months

Correct answer: 3. 6 months